Normal size but non functioning uterus is usually associated with :
1. Stenosis of the external os
2. Uterine synechiae
3. Partial agenesis of the vagina
4. Complete absence of vagina

Correct answer: 2. Uterine synechiae

Explanation: A hysterosalpingogram or preferably a diagnostic hysteroscopy helps to establish the diagnosis of Asherman syndrome, first described in 1948. Operative hysteroscopy to lyse the synechiae, followed by cyclic hormonal therapy with high doses of conjugated oestrogens of 2.5-5.0 mg/day for 3-6 months, results in the restoration of menstruation in about 50% cases. Some surgeons prefer to insert an intrauterine device in the uterine cavity after lysis of adhesions to ensure keeping the cavity patent and prevent recurrence of adhesions. Asherman syndrome is caused by dilatation and curettage (D&C), medical termination of pregnancy (MTP), uterine packing in postpartum haemorrhage, uterine infection and tubercular endometritis. It causes amenorrhoea, oligomenorrhoea, dysmenorrhoea, habitual abortion and infertility depending upon the extent of uterine cavity obliteration. Hormonal levels are under control SHAW'S TEXTBOOK OF GYNAECOLOGY, Pg no:330,16th edition